All of the following are examples of time dependent late adverse drug reactions except:
1. Glucocorticoid induced osteoporosis
2. Nitrate induced headache
3. Chloroquine induced retinopathy
4. Amiodarone induced tissue phospholipid deposition

Correct answer: 2. Nitrate induced headache